Budd Chiari syndrome is:
1. Portal vein thrombosis
2. Hepatic artery thrombosis
3. Cystic artery thrombosis
4. Hepatic vein thrombosis

Correct answer: 4. Hepatic vein thrombosis

Explanation: Ans. D i.e. Hepatic vein obstruction